Bimodality in person distribution refers to____.
1. Description of two etiological hypothesis of a disease in one person.
2. Evaluation of two different environmental factors of a person in  a disease causation.
3. Two separate peaks instead of in the age incidence curve of a disease.
4. Highest point of curve in age incidence curve of a disease.

Correct answer: 3. Two separate peaks instead of in the age incidence curve of a disease.

Explanation: Bimodality

Sometimes  there  may  be two  separate  peaks instead of one in the age incidence curve of a  disease.
Example-  Hodgkin's lymphoma shows bimodal curve with peaks at 15-20 years and 70-80 years.